Foramen of winslow is a communication between -
1. Right and left subhepatic spaces
2. Right and left extraperitoneal spaces
3. Greater sac and Morrison's pouch
4. Greater sac and lesser sac

Correct answer: 4. Greater sac and lesser sac

Explanation: Ans. is "d' i.e., Greater sac and lesser sac o Epiploic foramen (foramen of winslow or aditus to lesser sac) is a slit-like opening through which lesser sac communicates with greater sac. It is situated at the level of T12 vertebra. Its boundries are# Anterior:- Right free margin of lesser omentum (contains portal vein, hepatic artery proper and bile duct).# Posterior:- IVC, right suprarenal gland and T12 vertebra.# Superior:- Caudate lobe of liver.# Inferior:- 1st part of duodenum and horizontal part of hepatic artery.Reflections of peritoneum